Site of action of vecuronium is –
1. Cerebrum
2. Reticular formation
3. Motor neuron
4. Myoneural junction

Correct answer: 4. Myoneural junction

Explanation: Vecuronium, a non-depolarizing blocker, acts on nicotinic receptors at myoneural junction.